Perforation of nasal septum is not seen in -
1. TB
2. Syphilis
3. Leprosy
4. Rhinosporiodiosis

Correct answer: 4. Rhinosporiodiosis

Explanation: Ans. is 'd' i.e., Rhinosporiodiosis o Causes of septal perforation are : -TraumaIatrogenic : - Nasal surgery, nasal intubation or nasogastric tube placementChronic inflammation (Wegener's granulomatosis, Syphilis, T.B. Leprosy, atrophic rhinitis, Sarcoidosis)Nasal myiasisRhinolith or neglected foreign body.As a complication of septal abscess or hematoma, if drainage is delayed.Poisons (cocaine, topical steroids and decongestants)Tumours of septum e.g., chondrosarcoma, granulomaIdiopathic